All are antioxidant except ?
1. Vitamin A
2. Catalase
3. Cystein
4. Glutamine

Correct answer: 4. Glutamine

Explanation: Ans. is 'd' i.e., Glutamine